All are true regarding Ketorolac, EXCEPT?
1. Respiratory depression is a side effect
2. More potent than Aspirin
3. VA is 5- 6 hrs
4. This is an analgesic

Correct answer: 1. Respiratory depression is a side effect

Explanation: Ans. is 'a' i.e., Respiratory depression is a side effect Ketorolac Ketorolac is a novel NSAID (Pyrrolo-pyrole derivative) It is a potent analgesic (equal to morphine, more than aspirin) It is free of the following side effects Respiratory depression Hypotension Dependence producing Constipation Its plasma t1/2 of ketorolac is 5-7 hrs. So it is used in short term management of moderate pain. Ketorolac is best used in postoperative or other acute but short lasting painful conditions with minimal inflammation. Ketorolac is the only NSA ID that can be used i.v.